Staple food as maize causes?
1. Xerophthalima
2. Scurvy
3. Beri-beri
4. Pellagra

Correct answer: 4. Pellagra

Explanation: ANSWER: (D) PellagraREF: Harper 27th ed chapter 29, Parks 22 ed page 574Also see tryptophan metabolism in Biochemistry 2014 Session 1Maize is deficient is Tryptophan which is required for Niacin biosynthesis. Niacin deficiency causes pellagraFood rich in niacin and/or tryptophan are liver Kidney meat, poultry, fish Legumes and groundnut. Milk is a poor Source of niacin but its proteins are rich in tryptophan which is converted in the body into niacin (about 60 mg of tryptophan is required to result in 1 mg of niacin). In many cereals, especially maize, niacin occurs in "bound" form unavailable to the consumer.While pellagra is historically a disease of the maize eating population it was reported in India in the Telangana area of Andhra Pradesh in some segments of the population eating another cereal that is jowar (Sorghum vulgare).